Watson and Crick are associated with
1. Discovery of helical structure of DNA
2. Association of Helicobacter pylori with chronic gastritis
3. Discovery of HIV virus
4. None of the above

Correct answer: 1. Discovery of helical structure of DNA

Explanation: Ans. (a) Discovery of helical structure of DNA(Ref: Emery genetics)Francis Harry Compton Crick, James Dewey Watson and Maurice Hugh Frederick Wilkins were awarded the 'Nobel Prize' in 1962 "for their discoveries concerning the molecular structure of nucleic acids and its significance for information transfer in living material".